CYD-TDV vaccine is used for which of the following infections?
1. Dengue
2. Malaria
3. Yellow fever
4. Japanese encephalitis

Correct answer: 1. Dengue

Explanation: CYD-TDV vaccine introduced in Thailand in 2018 (DENGVAXIA) is used for Dengue. Vaccine is tetravalent Live attenuated vaccine Dengue is a mosquito (Aedes aegypti) borne viral (Arbovirus) infection